A patient suffers from contraction of maxillary arch, labioversion of maxillary incisors, with deep overbite and overjet. These are features of:
1. Class I malocclusion
2. Class II div 2 malocclusion
3. Class II div 1 malocclusion
4. Class III malocclusion

Correct answer: 3. Class II div 1 malocclusion

Explanation: Class II: Dental relationship, in which the mandibular dental arch is posterior to the maxillary dental arch in one or both lateral segments as determined by the relationship of the permanent first molars. Mandibular 1st molar is distal to the maxillary 1st molar.
Further subdivided into 2 divisions:
Division 1:  Bilateral distal retrusion with a narrow maxillary arch and protruding maxillary incisors, increased overjet.
Division 2 : Bilateral distal retrusion with a normal or square-shaped maxillary arch, retruded maxillary central incisors, labially malposed maxillary lateral incisors, an excessive overbite (deep bite).
Ref: Textbook of orthodontics 2nd ed Gurkeerat Singh page no 55